Binasal hemianopia is seen in
1. Optic nerve lesions
2. Central chiasma lesions
3. B/L lateral chiasma lesions
4. Optic tract lesion

Correct answer: 3. B/L lateral chiasma lesions

Explanation: Central chiasma - Bitemporal hemianopia.
B/ L Lateral chiasma - Binasal hemianopia.